Which condition is most commonly associated with coarctation of aorta?
1. PDA
2. Bicuspid aortic valve
3. Aortic stenosis
4. VSD

Correct answer: 2. Bicuspid aortic valve

Explanation: Answer is B (Bicuspid Aortic Valve) The most common associated cardiac anomaly with coarctation of aorta is bicuspid aortic valve (Harrison's 17th /1462) Coarctation of aorta is associated with a bicuspid aortic valve in more than 70% of cases - (Nelson 18th / 1900) Associated anomalies with coarctation of Aorta Q Shone complex * Bicuspid Aortic valve(' (commonest) Coarctation of Aorta * PDAQ * VSDQ Left sided obstructive lesions * Tubular hypoplasia of aortic arch(' (Mitral valve abnormalities * Aortic stenosisQ (valvular / subvalvular) and subaortic stenosis) Other Associated lesions that have been asked previously Mitral valve abnormalities (Subvalvular mitral ring /parachute mitral valve) Turner's syndrome('